IV formula for Bum is
1. Total % body surface area x weight (kg) x 4 = volume (ml)
2. Total % body surface area x weight (kg) x 5 = volumc/ml)
3. Total % body surface area x weight (kg) x 6 = volume /ml)
4. Total % body surface area x weight (kg) x 7 = volume (ml)

Correct answer: 1. Total % body surface area x weight (kg) x 4 = volume (ml)

Explanation: A. i.e. (Total % body surface area x weight (kg) x 4 = volume (ml)) (384 -B &L 25th)* Simplest and most widely used formula is the Parkland formulaTotal % body surface area x weight (kg) x 4 = Volume (ml)* Half this volume is given in the first 8 hours and second half is given in the subsequent 16 hours* In children with bum over 10% TBS A and adults with bums over 15% TBSA, consider the need for intravenous fluid resuscitation* The key is to monitor urine output* The commonest colloid - based formula is the Muir and Barclay formula0.5 x % body surface area burnt x weight = one portion* * Ringer lactate is the most commonly used crystalloid